Cochlear implants are used for
1. In refractory vertigo
2. Sever tinnitus
3. Moderate & severe hearing loss
4. Loss of balance

Correct answer: 3. Moderate & severe hearing loss

Explanation: (C) Moderate and severe hearing loss # Cochlear implant stimulate auditory system with electrical impulses, while hearing aid use surviving hair cells.# Indications of cochlear implant:> Postlingually deaf patient (hearing loss after development of language)> Bilateral severe sensorineural deafness who do not respond to amplified sound stimuli.> Inability to benefit from hearing aid.> In order to select the patient for cochlear implant following tests are done to evaluate the degree of deafness and to assess the quality of surviving neuron. Pure tone audiometry, Electrocochleography, Promontory stimulation